Acanthosis nigricans is caused by wihch drug-
1. Amphotericin-B
2. Ketoconazole
3. Nicotinic acid
4. Nalidixic acid

Correct answer: 3. Nicotinic acid

Explanation: Ans. is 'c' i.e., Nicotinic acid o The cutaneous effects of nicotinic acid include flushing and pruritis of face and upper trunk, skin rashes and acanthosis nigricans. These symptoms are due to vasodilatory action of niacin through release of PGs and can be prevented by pretreatment with aspirin.